SIADH is caused by all EXCEPT :
1. Vincristine
2. Vinblastine
3. Actinomycin D
4. Cyclophosphamide

Correct answer: 3. Actinomycin D

Explanation: Drugs causing syndrome of inappropriate ADH (SIADH) secretion